For sodium - Potassium pump the coupling ratio is
1. 1:01
2. 2:03
3. 3:02
4. 1:04

Correct answer: 3. 3:02

Explanation: Ans. (c) 3:2Na K pump uses the energy to move 3 sodium ions from inside to outside of the cell and moves 2 potassium ions from outside to insideThe coupling ratio is 3:2